Metamerism is
1. Operator is unable to record the colour
2. Patient has teeth with different shades
3. Various light sources produce different colour perception
4. All of the above

Correct answer: 3. Various light sources produce different colour perception